All the following are hydrophilic amino acids Except
1. Cysteine
2. Proline
3. Glycine
4. Serine

Correct answer: 2. Proline

Explanation: Hydrophilic & Hydrophobic Amino AcidsHydrophilicHydrophobicArginineAlanineAsparagineIsoleucineAspaic acidLeucineCysteineMethionineGlutamic acidPhenylalanineGlutamineProlineGlycineTryptophanHistidineTyrosineLysineValineSerineThreonineRef: Harper's Biochemistry; 30th edition; Chapter 3; Amino Acids & Peptides